Adeno virus causes all except -
1. Hemorrhagic cytitis
2. Diarrhea
3. Respiratory tract infection
4. IMN

Correct answer: 4. IMN

Explanation: Adenovirus causes pharyngitis,pneumonia,ARD,pharyngeoconjunctival fever,EKC ,acute follivular conjunctivitis,diarrhea and acute hemorrhagic fever. REF:ANANTHANARAYAN AND PANIKER'S TEXTBOOK OF MICROBIOLOGY 9TH EDITION PAGE NO:482